Enzyme deficient is Tay-Sach disease -
1. Hexosaminidase-A
2. Sphingomyelinase
3. Ceramidase
4. a-galactosidase

Correct answer: 1. Hexosaminidase-A

Explanation: Ans. is 'a' i.e., Hexosaminidase -A DiseaseEnzyme deficiencyLipid accumulatedTay-sach diseaseHexosaminidase AGM2 gangliosideSandoff diseaseHexosaminidase BGM2 gangliosideNiemann-Pick diseaseSphingomyelinaseSphingomyelineFarber's diseaseCeramidaseAcyl-sphingosine (ceramide)Fabry's diseasea-galactosidaseGlobotrisylceramideKrabbe's diseaseb-galactosidase (Galactosylceramidase)GalactosylceramideGaucher's diseaseb-glucosidase (glucocerebrosidase)GlucosylceramideMetachromatic leukodystrophyArylsulfatase A3-Sulfogalactosylceramide